All of the following cause hypothyroidism except
1. PAS
2. Captopril
3. Lithium
4. Amiodarone

Correct answer: 2. Captopril

Explanation: Lithium inhibits thyroid hormone release. Amiodarone inhibits peripheral conversion of T4 to T3 and also interfere with thyroid hormone action. PAS inhibit thyroglobulin iodination and coupling reaction. lithium also interfers with thyroid function and cause hypothyroidism mostly REF.Essential of medical pharmacology K D TRIPATHI 6 Edition, Page No - 249